Tumor associated with tuberous sclerosis is/ are?
1. Renal angiomyoma
2. Subependymal giant cell astrocytoma
3. Rhabdomyoma heart
4. All the above

Correct answer: 4. All the above

Explanation: Ans. is 'd' i.e., All the above